All of the following are acyanotic congenital heart diseases except _________
1. VSD
2. PDA
3. ASD
4. Tetralogy of fallot

Correct answer: 4. Tetralogy of fallot

Explanation: TOF is a cyanotic disease. Ref : Ghai essential of pediatrics, eighth edition, p.no: 420